Chorda tympani contain:
1. Preganglionic sympathetic fibres
2. Preganglionic parasympathetic fibres
3. Postganglionic sympathetic fibres
4. Postganglionic parasympathetic fibres

Correct answer: 2. Preganglionic parasympathetic fibres